Drugs which is ACE inhibitor ?
1. Losartan
2. Milrinone
3. Candesartan
4. Fosinopril

Correct answer: 4. Fosinopril

Explanation: Ans. is 'd' i.e., Fosinopril ACE inhibitors are captopril, lisinopril, ramipril, trandolopril, perindopril, enalapril, benazepril, fosinopril and imidapril.